Blastomycosis is characterized by all except ?
1. Yeast like fungus
2. Commonly involves lung and skin
3. Dimorphic fungus
4. Common in South America

Correct answer: 4. Common in South America

Explanation: Ans. is 'd' i.e., Common in South America Blastomycosis This is a chronic infection caused by Blastomyces dermatitidis. . B. dermatitidis is a dimorphic fungus that grows at room temeperature as a white or tan mould but grow within host or at 37degC as budding, round yeast like cells. . Infection is largely confined to the North American continent --> "North American blastomycosis". . . It is characterized by formation of suppurative and granulontatous lesion in any part of the body but with a marked predilection for the lung and skin. .